Bronchial asthma is characterized by -a) Inflammatory disease of airwayb) Allergic disease of air wayc) Hyporesponsiveness of airwayd) Hyperresponsiveness of airwaye) Treatment is mostly inhaled steroid
1. abcd
2. bcde
3. acde
4. abde

Correct answer: 4. abde

Explanation: Asthma -
"Asthma is a chronic inflammatory disorder of the airway that causes recurrent episodes of wheezing, breathlessness, chest tightness and cough particularly at night or in the early morning. These symptoms are usually associated with wide spread but variable bronchoconstriction and airflow limitation that is at least partly reversible, either spontaneously or with treatment. It is thought that inflammation causes an increase in airway responsiveness (bronchospasm) to a variety of stimuli".
- Inhaled steroid has an important role in the t/t of Asthma.